Which is non-sense codon?
1. UGG
2. AUG
3. UGA
4. CCA

Correct answer: 3. UGA

Explanation: Non sense codons are UAA , UAG and UGA Ref-Harpers illustrated biochemistry 30/e p478